Contrast agent-induced reactions like edema, urticaria, rash, and hypotension are mediated due to
1. IgG mediated reaction
2. Anaphylactoid reaction
3. Type I allergic reaction
4. IgE mediated reaction

Correct answer: 2. Anaphylactoid reaction

Explanation: Anaphylactoid reactions are defined as those reactions that produce the same clinical picture with anaphylaxis but are not IgE mediated, occur through a direct nonimmune-mediated release of mediators from mast cells and/or basophils or result from direct complement activation. More common in iodinated contrast media Ref : Ananthanarayana textbook of Microbiology 9th edition Pgno : 163-165